Precursor of norepinephrine -
1. Tryptophan
2. Tyrosine
3. Methionine
4. Asparagine

Correct answer: 2. Tyrosine

Explanation: Ans. is 'b' i.e.. Tyrosine